Drug contraindicated in absence seizures is
1. Lamotrigine
2. Clonazepam
3. Tiagabine
4. Ethosuximide

Correct answer: 3. Tiagabine

Explanation: Ans. is 'c' i.e., Tiagabine * Carbamazepine, vigabatrin, and tiagabine are contraindicated in the treatment of absence seizures, irrespective of cause and severity. This is based on clinical and experimental evidence. In particular, the GABA agonists vigabatrin and tiagabine are used to induce, not to treat, absence seizures and absence status epilepticus. Similarly, oxcarbazepine, phenytoin, phenobarbital, gabapentin, and pregabalin should not be used in the treatment of absence seizures because these medications may worsen absence seizures.